On spirometry decreased fevl normal FVC, increased TLC , decreased DLco2 diagnosis is
1. Bronchial asthma
2. Emphysema
3. Respiratory muscle paralysis
4. Pulmonary fibrosis

Correct answer: 2. Emphysema

Explanation: (B) (Emphysema) (431 -A-K-Jain 5th (735-sembulingam 6th (653-Davidson 224)How to interpret respiratory function abnormalities AsthmaChronic bronchitisEmphvsemaPulmonary fibrosisFEV1|||||||VC||-|||FEV1/VC|||-/|TL co--||||K co-/|-|-/|TLC-/|||||RV-/|||||(RV=Residual Volume; see text for other abbreviations)Bronchial Asthma -Residual volume andfunctional residual capacity (FRC) are increased* There is reduction in1. Tidal volume2. Vital capacity3. Forced expiratory volume in 1 second (FEVj)4. Alveolar ventilation5. Partial pressure of oxygen in blood* Carbon dioxide accumulates, resulting in acidosis, dyspnea and cyanosisDiffusing capacity (DLco) useful for assessing disease affecting the alveolar-capillary bed or pulmonary vascular (1591-92-H 17th)A. Decreased DLco1. Interstitial lung disease2. Emphysema3. Pulmonary vascular disease (recurrent pulmonary emboli or primary pulmonary hypertension)B. Increased DLco1. Congestive heart failure2. Alveolar haemorrhage in good pasture syndromePulmonary compliance increased in express the distensibility (expensibility) of the lung and chest wall)* Emphysema* Ageing* Increased surfactants (|surface tension)* Dead space measured by- Nitrogen washout method* Measurement of functional Residual capacity (FRC)A. Open circuit method-Nitrogen washout methodB. Closed circuit method- Helium Dilution Technique* Diffusion capacity of lung Is measured by- carbon monoxide method